The antibiotic that inhibits protein synthesis by premature termination and which structurally resembles amino acyl t–RNA is :
1. Tetracycline
2. Chloramphenicol
3. Puromycin
4. Erythromycin

Correct answer: 3. Puromycin